Which type of cattle poisoning occurs due to ingestion of LINSEED plant?
1. Aconite
2. Atropine
3. Pilocarpine
4. Hydrocyanic acid

Correct answer: 4. Hydrocyanic acid

Explanation: Hydrocyanic acid is also used as cattle poison. Cattle poisoning has been known to occur from eating linseed plant because of the natural development of a cyanogenic glycoside which may liberate hydrocyanic acid. Ref: Essentials of Forensic Medicine and Toxicology By Dr K S Narayan Reddy, 27th Edition, Pages 559-60